What is the biological value of egg protein:
1. 80
2. 90
3. 100
4. 120

Correct answer: 3. 100

Explanation: Ans. (c) 100Ref : K. Park 23rd ed. / 630Biological value is a measure of the proportion of absorbed protein from a food which becomes incorporated into the proteins of the organisms body.Biological value of Proteins in several food products* Whole egg: 100* Cow milk: 91* Beef: 80* Casein: 77* Soy: 74* Wheat gluten: 64